An abnormally tall 11 year old with normal mentation is most likely to have which of the following syndromes?
1. Soto's syndrome
2. Homocystinuria
3. XXY
4. Marfan Syndrome

Correct answer: 4. Marfan Syndrome

Explanation: Ans. D. Marfan SyndromeMarfan syndrome is an autosomal dominant connective tissue disorder consisting of tall stature, arachnodactyly, thin extremities, increased arm span, and decreased upper body: lower body segment ratio. Additional abnormalities include ocular abnormalities (e.g., lens subluxation), hypotonia, kyphoscoliosis, cardiac valvular deformities, and aortic root dilation.